Paralytic squint is
1. Incomitant squint
2. Exophoria
3. Esotropia
4. Heterotropia

Correct answer: 1. Incomitant squint

Explanation: Ans. is 'a' i.e., Incomitant squint Incomitant squint is a squint in which the angle of deviation differs depending upon the direction of gaze i.e, amount of deviation varies in different directions of gaze . There are many type of incomitant squints (paralytic, restrictive, 'A' & 'V' pattern), however the most common type is Paralytic squint and the word incomitant squint is usually used for paralytic squint.Therefore, I will explain paralytic squint here.